Selenocysteine is a part of
1. NADP re ductase
2. NADPH dehydrogenase
3. Thioredoxin reductase
4. Pyruvate dehydeogenase

Correct answer: 3. Thioredoxin reductase

Explanation: Selenocysteine is abbreviated as SeCys. It is seen at the active site of the following enzymes: a) Thioredoxin reductase; b) Glutathione peroxidase, which scavenges peroxides; c) 5'- De-iodinase that removes iodine from thyroxine to make triiodothyronine and d) Selenoprotein P, a glycoprotein seen in mammalian blood. Replacement of SeCys by Cys will lead to decreased activity of these enzymes. Deficiency of some of these enzymes with the anti-oxidant function may be related with atherosclerosis. Concentration falls in selenium deficiency. Its structure is COOH-CHNH2-CH2-SeH. It is directly incorporated into proteins during the translation process. Biosynthesis of selenocysteine is by replacing the oxygen of serine by selenium; this is done by two steps: Se + ATP - Se-P + AMP + Pi Serine + Se-P - SeCys + PiRef: DM Vasudevan, Page no: 187